320 IPC is for -
1. Defines hurt
2. Defines grievous hurt
3. Attempt to murder
4. Defines murder

Correct answer: 2. Defines grievous hurt

Explanation: Ans. is 'b' i.e., Defines grievous hurt o 319IPC : Defines hurt,o Sec 320: Defines grievous hurt.o Sec 322: Voluntarily causing grievous hurt.o Sec 325: Punishment for voluntarily causing grievous hurt (imprisonment upto 7 years with fine),o Sec 326: Punishment for voluntarily causing grievous hurt by dangerous weapon (imprisonment upto 10 years with fine).o Sec 329: Causing grievous hurt to extort property (imprisonment upto life/10 years with fine),o Sec 331: Causing grievous hurt to extort confession (imprisonment upto 10 years with fine),o Sec 333: Causing grievous hurt to deter public servant from duty (imprisonment upto 10 years with fine),o Sec 335: Causing grievous hurt on grave or sudden provocation (imprisonment upto 4 years +- fine),o Sec 338 : Causing grievous hurt by act endangering life/safety (imprisonment upto 2 years +- fine).